Stimulation of which brain area can modulate the sensation of pain?
1. Superior olivary complex
2. Locus ceruleus
3. Periaquaductal gray
4. Amygdala

Correct answer: 3. Periaquaductal gray

Explanation: Endogenous analgesic system
 
periaqueductal gray (PAG)-projects to nucleus raphé magnus and rostral ventromedial medulla
 
project to the dorsal horn of the spinal cord- release serotonin and norepinephrine
 
Locus coerulus-Nor epinephrine
 
Stress induced analgesia:
 
release of endogenous cannabinoids such as 2-arachidonoylglycerol (2AG) and anandamide acts on CB1(Euphoria) and CB 2 (Pain)receptors